Most important mechanism of action of microwave irradiation is?
1. Thermal effect
2. Ionizing effect
3. Stereotactic effect
4. All of the above

Correct answer: 1. Thermal effect

Explanation: Ans. is 'a' i.e., Thermal effect * The most important mechanism in medical applications of microwaves is the thermal effects of EM field.Medical applications of microwaves* Since early 80's a microwave thermotherapy is used for cancer treatment, Benign Prostate Hyperplasia (BPH) treatment; it can be used in combination with other complementary treatment methods also.* Medical applications of microwaves and used mechanism can be divided in following three basic groupsi) For the treatment purpose (with the use of either thermal or non-thermal effects - sometimes both of these types of effects can play its role).ii) For diagnosis purpose (e.g. by aid of permittivity measurements, attenuation measurements and microwave tomographyiii) For treatment or diagnosis (e.g.linear accelerator).* Medical applications of microwaves is mainly represented by the treatment methods based on thermal effect (i.e. Microwave thermotherapy), which can be further divided into three different modalities distinguished according to the goal temperature level or interval: -a) Diathermia: heating up to 41 C (applications in physiotherapy)b) Hyperthermia: heating into the interval of 41-45 C (applications in oncology)c) Thermodestruction / thermoablation: over 45 C (applications in urology)